Calculi are most commonly seen in which salivary gland
1. Minor salivary gland
2. Parotid
3. Submandibular
4. None

Correct answer: 3. Submandibular

Explanation: Eighty per cent of all salivary stones occur in the submandibular glands. Eighty per cent of submandibular stones are radio-opaque . Calculi are more common in submandibular gland because the gland secretion is viscous, contains more calcium and also its drainage(Wharton's duct) is nondependent, causing stasis. Secretion from parotid gland is serous, contains less calcium and so stones are not common. Reference : Bailey and Love's short practice of surgery 27th edition , chapter 49 , pg no 780